A 59 year old man with severe myxomatous mitral regurgitation is asymptomatic, with a left ventricular ejection fraction of 45% and an endsystolic diameter index of 2.9 cm/m2. The most appropriate treatment is:
1. Mitral valve repair or replacement
2. No treatment
3. ACE inhibitor therapy
4. Digoxin and diuretic therapy

Correct answer: 1. Mitral valve repair or replacement

Explanation: Answer is A (Mitral valve repair or replacement) "Surgical treatment of severe MR should be considered even in asymptomatic patients or those with mild symptoms whose LV dysfunction is progressive with LV ejection fraction declining below 60%"